An unidentified dead body is bought for autopsy.You notice a faded tattoo mark on the left arm of the .Which of the following methods can use to enhance the tattoo mark for identification
1. Application of isopropyl alochol
2. Infrared photography
3. Bright illumination
4. All of the above

Correct answer: 2. Infrared photography

Explanation: Infrarred photography makes old tattoos really visible A faded tattoo mark can be visualised *Ultraviolet light *infrared photography *rubbing the part and examining the part with magnifying lens In decomposed bodies,the tattoo marks can be visualised by removing the layer of epidermis by a moist cloth Reference :Synopsis of Forensic Medicine and toxicology PG 57,28th edition